HCV is:
1. Enveloped RNA virus
2. Unenveloped RNA virus
3. Unenveloped positive strand RNA
4. Unenveloped negative strand RNA

Correct answer: 1. Enveloped RNA virus

Explanation: Ans. (a) Enveloped RNA virus